Which of the following drug acts at 50s ribosome:
1. Stremptomycin
2. Tetracycline
3. Quinpristin
4. Demeclocycline

Correct answer: 3. Quinpristin

Explanation: Ref: Sharma & Sharma 3rd ed. P 702Protein synthesis inhibitor drugs acting at 30s and 50s ribosomal unitDrugs acting by inhibiting 30s ribosomeAminoglycoside (Streptomycin,Gentamicin, Tobramycin, Kanamycin, Amikacin)Tetracycline (Minocycline, Demeclocyclin, Doxycycline)Drugs acting by inhibiting 50s ribosomeStreptogramins (Quinpristin & Dalfopristin)Erythromycin (macrolides)Lincosamides (Clindamycin)LinezolidKetolides (Telithromycin, Cethromycin) ChloramphenicolMn: Buy AT 30, SELL Karo China in 50